Healing with calcification is a feature of -
1. Cryptococcosis
2. Mucomycosis
3. Aspergillosis
4. Histoplasmosis

Correct answer: 4. Histoplasmosis

Explanation: Answer- D. HistoplasmosisIn the immunocompetent host, macrophages, lymphocytes, and epithelial cells eventually organize and form granulomas that contain the histoplasma organisms.